All are true regarding hypertrophic cardiomyopathy,Except-
1. Digoxin is helpful
2. Irregular thickness of septa
3. Dynamic obstruction
4. Double apical impulse

Correct answer: 1. Digoxin is helpful